A female presented with severe secretory diarrhea is diagnosed of having medullary thyroid carcinoma (MTC). Treatment of MTC is:
1. Surgery and Radiotherapy
2. Radiotherapy and Chemotherapy
3. Surgery only
4. Radioiodine ablation

Correct answer: 3. Surgery only

Explanation: In MTC there is a high propensity for bilateral disease in both the sporadic and familial forms and, therefore, the usual treatment is total thyroidectomy with central neck compartment dissection in all patients. In unilateral sporadic disease, if the primary tumor is greater than 1 cm or central compartment disease is present, strong consideration should be given to ipsilateral modified radical neck or mediastinal dissections, or both. Ref: Busaidy N.L., Habra M.A., Vassilopoulou-Sellin R. (2011). Chapter 38. Endocrine Malignancies. In H.M. Kantarjian, R.A. Wolff, C.A. Koller (Eds), The MD Anderson Manual of Medical Oncology, 2e.